Acute physiology and Chronic Health Evaluation (APACHE) scoring system is used as a scoring system to -
1. To predict postoperative cardiac risk
2. To predict postoperative pulmonary complications
3. To evaluate prognosis in the critical care settings
4. To evaluate prognosis after acute myocardial infarction

Correct answer: 3. To evaluate prognosis in the critical care settings